The main cause of increased blood How to exercising muscles is:
1. Raised blood pressure
2. Vasodilatation due to local metabolites
3. Increased sympathetic discharge to peripheral vessels
4. Increased heart rate

Correct answer: 2. Vasodilatation due to local metabolites

Explanation: Ans. (b) Vasodilatation due to local metabolites(Ref: Guyton, 13th ed/p.1093)In exercising muscle, there is accumulation of local metabolites leading to vasodilation - This increases blood flow.